Method used to examine periphery of retina:
1. Direct ophthalmoscopy
2. Retinoscopy
3. Indirect ophthalmoscopy
4. None

Correct answer: 3. Indirect ophthalmoscopy

Explanation: - With Indirect ophthalmoscope Field of view is much larger & Examination of peripheral retina up to ora serratais possible. - Used along with scleral indentation to obtain ora serrata and pars plana visualization in difficult situations - Image formed is real & inverted - Feild of vision = 8DD (1DD= 1.5mm) - Convex lens of +20 D is used, commonly USES- in periphral Retinal breaks , Retinal detachement ROP evaliation